Radiation caries develops in
1. 3 weeks
2. 3 days
3. 3 months
4. 3 years

Correct answer: 3. 3 months